1st evidence of calcification of Primary Mandibular 2nd molar is seen in
1. 14 wk IU
2. 16 wk IU
3. 17 wk IU
4. 18-19 wk IU

Correct answer: 4. 18-19 wk IU